Montelukast is -
1. Leukotriene antagonist
2. Potassium channel opener
3. Smooth muscle relaxant
4. Anti - inflammatory

Correct answer: 1. Leukotriene antagonist

Explanation: Ans. is 'a' i.e., Leukotriene antagonist Leukotriene antagonistso Monteleukast and zafirleucast are cystenyl LTj (cys LT() receptor antagonists.o They are indicated for prophylactic therapy of mild to moderate asthma as alternatives to inhaled glucocorticoids.o They are more acceptable in children,o They are not used for terminating asthma episodes,o They are effective in aspirin induced asthma.o They are very safe drugs, produce few side effects like headache and rashes,o Eosinophilia, neuropathy and churg-strauss syndrome are other rare side effects.